Sub cortical dementia is seen in all except
1. Multiple sclerosis
2. Alzheimer's disease
3. Parkinson's disease
4. HIV related dementia

Correct answer: 2. Alzheimer's disease

Explanation: People with these types of dementia usually have severe memory loss and can't remember words or understand language.Alzheimer's and Creutzfeldt-Jakob disease are two forms of cortical dementia.Subcortical dementias happen because of problems in the parts of the brain beneath the cortex. Ref ganong's review of medical physiology 25e p751